O2 dissociation curve is shifted to right in all except?
1. Hypercapnea
2. Rise in temperature
3. Raised 2, 3 DPG level
4. Metabolic alkalosis

Correct answer: 4. Metabolic alkalosis

Explanation: Ans. is `d' i.e., Metabolic alkalosisHypercapnea (raised CO2), rise in temprature and increased 2, 3 DPG cause righward shift of O2 dissociation curve.Metabolic alkalosis causes leftward shift.